Peripheral pulmonic stenosis is associated with -
1. Subaortic stenosis
2. Takayasu's arteritis
3. William syndrome
4. Coarctation of syndrome

Correct answer: 3. William syndrome

Explanation: Williams-Beuren syndrome is associated with supravalvar aortic stenosis and peripheral pulmonary artery stenosis in the majority of affected individuals. Among patients in whom surgery for supravalvar aortic stenosis is contemplated, stenosis of the branch pulmonary arteries is common Ref Davidson 23rd edition pg 450